Congenital pyloric stenosis causes: 1. Bilious vomiting 2. Non- bilious vomiting 3. Projectile vomiting 4. Non projectile vomiting 5. Forceful
1. 1,2 & 4
2. 2,3,4 & 5
3. 1,3 & 4
4. All are seen

Correct answer: 2. 2,3,4 & 5

Explanation: The vomiting in pyloric stenosis may or may not be projectile, however non bilious vomiting after feed is the characteristic feature. In about 10-15% of infants vomiting may contain blood. This bleeding is due to reflux esophagitis, a common association with hypertrophic pyloric stenosis. Also know: Associated anomalies occur in 6-20% of patients. These includes esophageal atresia, Hirschsprung's disease, anorectal anomalies, and intestinal malformation. Ref: Nelson 17/e, Page 1229.